Which of the following is a Radioactive anti-cancer Monoclonal antibody?
1. Basiliximab
2. Bevacizumab
3. Ibritumomab
4. Rituximab

Correct answer: 3. Ibritumomab

Explanation: Ibritumomab and Tositumomab are anti-cancer Monoclonal antibodies attached to yttrium radioisotope.Ref: Sharma and Sharma 3rd ed/pg 876